Which of the following is not true regarding metopic suture?
1. It is present in all individuals
2. It is seen in norma verticalis
3. It separates frontal bones
4. It lies in median plane

Correct answer: 1. It is present in all individuals

Explanation: Metopic suture. This is occasionally present in about 3 to 8% individuals. It lies in the median plane and separates the two halves of the frontal bone.